Use of an angled target in the X-ray tube
1. Increases penetrating power of X-rays
2. Reduces penetrating power of X-rays
3. Increases image sharpness
4. Reduces image sharpness

Correct answer: 3. Increases image sharpness